Methadone is used to treat withdrawal symptoms of:
1. Cocaine
2. Heroin
3. Amphetamine
4. Barbiturate

Correct answer: 2. Heroin

Explanation: Ans. Heroin